Amsler grid is used in –
1. Detecting maculopathy
2. Optic disc examination
3. Squint
4. Retinal examination

Correct answer: 1. Detecting maculopathy

Explanation: Macular function tests

While evaluating the retinal function, some tests are used s
These tests are :

Simple macular function tests

Two-point discrimination test (Cardboard test)
Maddox rod test
Coloured light test
Modified photostress test
Entoptic view test
Amsler grid test

Other tests

Blue field entoptoscopy
Laser interferometry
Potential acuity meter
Flying corpuscle test